Which of the following characterizes an abuser:
1. May demonstrate psychotic behavior
2. May view child as bad or disobedient
3. Makes no attempt to explain injuries
4. Any of the above

Correct answer: 4. Any of the above